Extensor carpi radialis longus is a/an -
1. Wrist extensor
2. Wrist adductor
3. Extensor of MCP joint
4. Extensor of IP joint

Correct answer: 1. Wrist extensor

Explanation: Ans. is 'a' i.e., Wrist extensoro Extensor carpi radialis longus causes :-i) Extension of wristii) Abduction of wristo It is supplied by radial nerve.